A man is convinced that his penis is receding into his body and fears that, when his penis disappears completely, he will die.Man is suffering from ?
1. Koro
2. Sangue dormido
3. Amok
4. Dhat

Correct answer: 1. Koro

Explanation: Culture-Bound Syndrome :- Koro characterized by a sudden and intense anxiety connected to the belief that the penis is receding into the body and that death will follow when it has totally disappeared. Sangue dormido characterized by muscle and joint pain, numbness, trembling, paralysis, convulsions, stroke, blindness, heart attack, and (among pregnant women) miscarriage. Running amok, referred to as simply amok or gone amok is "an episode of sudden mass assault against people or objects usually by a single individual following a period of brooding that has traditionally been regarded as occurring especially in Malay culture but is now increasingly viewed as psychopathological behavior. Dhat syndrome commonly present with a features of depression, anxiety, multiple nonspecific somatic symptoms, sexual dysfunction, fatigability, and impairment of concentration,which are attributable to semen loss.